Harakiri method of suicide involves stabbing into:
1. Chest
2. Wrist
3. Abdomen
4. Neck

Correct answer: 3. Abdomen

Explanation: Ans. Abdomen